Best culture for primary isolation of H. influenzae?
1. Blood agar
2. Fildes agar
3. Nutrient broth
4. Tryptose agar

Correct answer: 2. Fildes agar

Explanation: Ans. is 'b' i.e., Fildes agarH. influenzae does not grow on blood agar.Culture media used for isolation are Fildes agar (best for primary isolation), Levinthal medium (capsulated strains show iridescence) and Chocolate agar.